The following combination of agents are the most preferred for short day care surgeries
1. Propofol, fentanyl, isoflurane
2. Thiopentone sodium, morphine, halothane
3. Ketamine, pethidine, halothane
4. Propofol, morphine, halothane

Correct answer: 1. Propofol, fentanyl, isoflurane

Explanation: A i.e. Propofol, Fentanyl, isoflurane